On 3 phase 99m Tc - MDP bone scan, which of the following bone lesions will show least osteoblastic activity -
1. Paget' disease
2. Osteoid osteoma
3. Fibrous dysplasia
4. Fibrous cortical defect

Correct answer: 4. Fibrous cortical defect

Explanation: Osteoid osteoma, Paget's disease and fibrous dysplasia have osteoblastic activity, therefore, show increased radioisotope uptake on bone scan.
Fibrous cortical defect shows no radioisotope uptake as it has no osteoblastic activity.